Sterilization commonly performed at which site of fallopian tube :
1. Ampulla
2. Infundibulum
3. Isthmus
4. Cornua

Correct answer: 3. Isthmus

Explanation: Tubal ligation is usually performed by Pomeroy's method. THE TEXTBOOK OF GYNAECOLOGY SHEILA BALAKRISHNAN SECOND EDITION PAGE NO 388